Most common anterior mediastinal tumour is
1. Thymoma
2. Neurogenic tumor
3. Lymphoma
4. Teratoma

Correct answer: 1. Thymoma

Explanation: (Thymoma): {2181- H 18th edition)MEDIASTINAL MASSESAnterior mediastinumThymoma (Most common)***LymphomaTeratomatous neoplasmsThyroid massesMiddle mediastinum- Vascular masses (Most common)**- Lymph node enlargement from metastasis or granulomatous disease- Pleuropericardial and bronchogenic cystsPosterior mediastinum- Neurogenic tumours (Most common)**- Meningoceles, meningomyelocele- Gastroenteric cysts- Esophageal diverticula* Investigation of choice - CT-scan* Definite diagnosis - Mediastinoscopy or anterior mediastinotomy